Following are the rights of a medical practitioner except
1. Right to choose his patient
2. Right to practice medicine anywhere in india
3. Right to prescribe dangerous drugs
4. Right to issue false certificates

Correct answer: 4. Right to issue false certificates

Explanation: Doctor should not issue false certificates and report of futness, illness, etc and for court purposes. This will amount to professional misconduct. Ref: FORENSIC MEDICINE AND TOXICOLOGY Dr PC IGNATIUS THIRD EDITION PAGE 377